A child is brought to you because of perianal itching, which has been disturbing the child's sleep. Examination reveals scaly skin in the perianal region. You instructs the parents to place transparent tape on the perianal region the next morning, and then return to you. Next day the tape is transferred to a microscope slide, and low- power examination of the tape reveals oval eggs that are flattened along one side. Most likely cause?
1. Ancylostoma duodenale
2. Ascaris lumbricoides
3. Enterobius vermicularis
4. Necator americanus

Correct answer: 3. Enterobius vermicularis

Explanation: This is the history of enterobiasis caused by enterobius vermicularis also called as pinworm, threadworm or seat worm. Most common symptom is perianal pruritis. Diagnosis is achieved by using NIH swab for demonstrating non-bile stained, plano-convex, embryonated eggs in the perianal skin.